If a woman is assaulted by her husband then he is charged under:
1. Sec. 498-A IPC
2. Sec. 304-A IPC
3. Sec. 304-B IPC
4. Sec. 504 IPC

Correct answer: 1. Sec. 498-A IPC

Explanation: Ans. Sec. 498-A IPC